All of the following may cause Traumatic Asphyxia, except -
1. Railway Accident
2. Road Traffic Accident
3. Accidental strangulation
4. Stampede in crowd

Correct answer: 3. Accidental strangulation

Explanation: Any type of strangulation is not a cause of suffocation (traumatic asphyxia is a type of suffocation).
Other three options can cause traumatic asphyxia.